Anti U1 RNP is a feature of:
1. SLE
2. MCTD
3. Sclerorema
4. CREST

Correct answer: 2. MCTD

Explanation: MCTD